Purple toe syndrome is associated with which of the following drugs?
1. Warfarin
2. Phenytoin
3. Theophylline
4. Thalidomide

Correct answer: 1. Warfarin